Nitrogylerine is effective when admistered sublingually because it is
1. Non ionized and lipid soluble
2. Ionized and lipid soluble
3. Non ionized and water insoluble
4. Ionized and water water insoluble

Correct answer: 1. Non ionized and lipid soluble

Explanation: Nitroglycerin is effective when retained sublingually because it is non inonized and has very high lipid solubiility.thus the drug is absorbed very quickly Refer KDT 7th/e P6